Exocrine pancreatic insufficiency is seen in:
1. Shwachman-Diamond syndrome
2. Diamond-Blackfan syndrome
3. Rubinstein-Taybi syndrome
4. Seckel syndrome

Correct answer: 1. Shwachman-Diamond syndrome

Explanation: Disorders associated with pancreatic insufficiency include: Cystic fibrosis Shwachman-Diamond syndrome Pearson syndrome Johanson-Blizzard syndrome Chronic pancreatitis & protein-calorie malnutrition . Shwachman-Diamond syndrome- autosomal recessive syndrome with pancreatic insufficiency, neutropenia, neutrophil chemotaxis defects, metaphyseal dysostosis, failure to thrive & short stature.